Features of Alzheimer include all except
1. More common in females
2. Recent memory loss
3. MMSE useful in diagnosis
4. Medications offer near 100% cure

Correct answer: 4. Medications offer near 100% cure

Explanation: Dementia is a chronic organic mental disorder, characterized by the following main clinical features: 1. Impairment of intellectual functions, 2. Impairment of memory (predominantly of recent memory, especially in early stages), 3. Deterioration of personality with lack of personal care. Reference: A short textbook of Psychiatry by Niraj Ahuja, page no.22.